Associations of atopic keratoconjunctivitis include all except:
1. Keratoconus
2. Atopic cataract
3. Atopic dermatitis
4. Interstitial keratitis

Correct answer: 4. Interstitial keratitis

Explanation: Ans. Interstitial keratitis